Ramesh 60 years, presents with generalized bone pain. On examination there is elevated ESR of 100 mm, serum globulin 7, lytic lesions in the skull, serum creatinine of 3.5 mg/dL and serum calcium of 11mg/dL. What is the most likely diagnosis -
1. Waldenstrom's macroglobulinemia
2. Multiple myeloma
3. Hyperparathyroidism
4. Osteomalacia

Correct answer: 2. Multiple myeloma